Breech presentation is a risk factor for the following condition ?
1. CTEV
2. SCFE
3. DDH
4. Perthes disease

Correct answer: 3. DDH

Explanation: Ans. is 'c' i.e., DDH Risk factors for DDH/CDH (Remember 4Fs 1H0) Females First borns Familial :- DDH is found in families Faulty intrauterine position (Breech presentation) Hormone induced laxity Oligohydramnion